Which of the following diseases is not transmitted by mosquitoes
1. Filaria
2. Japanese Encephalitis
3. Kala Azar
4. Chikungunya Fever

Correct answer: 3. Kala Azar

Explanation: Out of Six diseases ( Malaria, Japanese Encephalitis, Kala Azar, Filaria and Chikungunya Fever) under the NVBDCP, five are transmitted by different kinds of vector mosquitoes, while Kala Azar is transmitted by sand flies. Kala-azar (KA) or Visceral Leishmaniasis (VL) is caused by parasite Leishmania Donovani and transmitted by Phlebotomus argentipes (Sandy fly). Incubation period in KA varies from 10 days to > 2 years in general but from four months to one year in India. Disease found across all age groups. Males are more afflicted than females The geographical spread of the disease is limited to 54 districts in India.